Graft when taken from a different species is called a:
1. Keno graft
2. Auto graft
3. Alto graft
4. Homo graft

Correct answer: 1. Keno graft